Culex mosquito is a vector for:
1. Chikungunya fever
2. Dengue fever
3. Japanese encephalitis
4. Malaria

Correct answer: 3. Japanese encephalitis

Explanation: ANOPHELES CULEX AEDES MANSONIA Boat shaped Small in clusters Single ; Cigar shaped Star shaped ; in clusters Rest parallel to water surface Rest at an angle to water surface Rest at an angle to water surface Attached to roots of Aquatic plants - Sits by making an angle of 45o with surface - Have straight body & spotted wings - Hunchback posture - Hunchback posture 3-5 Km 11 km 100 m Clean water. Hence known as Sophisticated mosquito Dirty water - Nuisance mosquito Artificial collection of rain water. - Tiger mosquito Aquatic plants Malaria Lymphatic filariasis Japanese Encephalitis West nile fever Dengue Chikungunya Yellow fever Zika virus Rift valley fever Brugian filariasis